Muscae volitantes are seen in -
1. Vitreous detachment
2. Vitreous hemorrhage
3. Remains of primitive hyaloid vasculature
4. Eale's disease

Correct answer: 3. Remains of primitive hyaloid vasculature

Explanation: Muscae volitantes: These are physiological opacities and represent the residues of primitive hyaloid vasculature. Patient perceives them as fine dots and filaments, which often drift in and out of the visual field, against a bright background (e.g., clear blue sky). Ref:comprehensive ophthalmology AK Khurana page no 245 REF IMG